Gender of the fetus is first evident by what gestational age (weeks) ?
1. 6
2. 8
3. 12
4. 16

Correct answer: 3. 12